A specific diagnostic criteria for Budd Chiari syndrome among the following is:
1. Intrahepatic collaterals
2. Dilated paraumbilical vein
3. Post acoustic shadowing
4. None of the above

Correct answer: 1. Intrahepatic collaterals

Explanation: Intrahepatic collaterals are a specific diagnostic criterion for BCS. Paraumbilical vein is an exception, which is also seen in portal hypertension. Collaterals are either intrahepatic, which communicate with systemic vessels subcapsular collaterals or from an occluded hepatic vein to a non occluded hepatic vein or to the caudate lobe veins Ref: J Ultrasound Med 2006; 25:373-379.